Aspartame contains
1. Phenylalanine
2. Histidine
3. Tryptophan
4. Tyrosine

Correct answer: 1. Phenylalanine

Explanation: Aspartame is made from aspartic acid and phenylalanine , both are aminoacds . It is 200 times sweeter than sugar. Aspartame is not suitable for people with phenlketonuria. REFERNCE : DM VASUDEVAN TEXTBOK EIGHTH EDITION ; Page no: 99